Mosaic pattern of lamellar bone is seen in?
1. Achondroplasia
2. Osteogenesis Imperfecta
3. Osteitis deformans
4. Osteopetrosis

Correct answer: 3. Osteitis deformans

Explanation: Mosaic pattern of lamellar bone is hall mark of Pagets disease (also called Osteitis deformans)